All are tests for sperm except -
1. Florence test
2. Luminol test
3. Barberio test
4. Acid phosphatase

Correct answer: 2. Luminol test

Explanation: Luminol test is used for blood stain (luminol spray). 
 Florence test, barberio's test and acid phosphatase test are used for semen.